All of the following statements about nasopharyngeal carcinoma are true, except:
1. Bimodal age distribution
2. Nasopharyngectomy with radical neck dissection is the treatment of choice
3. IgA antibody to EBV is observed
4. Squamous cell carcinoma is the most common histological subtype

Correct answer: 2. Nasopharyngectomy with radical neck dissection is the treatment of choice

Explanation: (b) Nasopharyngectomy with radical neck dissection is the treatment of choice(Ref. Scott Brown, 8th ed., Vol 3; 101)The definitive treatment for nasopharyngeal carcinoma and its regional node metastasis is radiotherapy.